WHO recommended dose of misoprostol in the treatment of post partum hemorrhage is
1. 400 mcg oral
2. 600 mcg sublingual
3. 800 mcg sublingual
4. 1000 mcg oral

Correct answer: 3. 800 mcg sublingual

Explanation: Ans. (C) 800 mcg sublingual(Ref: WHO recommendations for prevention and treatment of PPH 2012)According to WHO 2012 recommendationsOxytocin is drug of choice for treatment and well as prevention of post partum hemorrhage.Alternatives are ergometrine, fixed dose combination of oxytocin and ergometrine and misoprostolMisoprostol is recommended as 600 microgram orally for prevention of PPH and 800 microgram sublingually for treatment of PPH.The use of tranexamic acid is recommended for the treatment of PPH if oxytocin and other uterotonics fail to stop bleeding or if it is thought that the bleeding may be partly due to trauma.